Fall on foot causes?
1. Pond fracture
2. Gutter fracture
3. Cerebral hemisphere divided into half
4. Compression fracture

Correct answer: 4. Compression fracture

Explanation: ANSWER: (D) Compression fractureREF: Manual of orthopedics by Marc F. Swiontkowski MD 6th ed Ch: 7Burst Compression fractures of the lumbar spine are associated with fractures of calcaneus in a setting where a person falls and land on foot. This type of fracture is called a Don Juan fracture.Calcaneal fractures are more frequent than any other fracture of the tarsal bones and comprise 1% to 2% of all fractures. These fractures, which are often bilateral, are likely to occur when a person falls from a height and lands on the heels. Associated injuries include compression fractures of the lumbar spine and occasionally fractures about the knee or pelvis.